Under normal circumstances, left ventricular shortening fraction (LVSF) is:
1. 20%
2. 40%
3. 60%
4. 75%

Correct answer: 2. 40%

Explanation: Left ventricular shortening fraction (LVSF) is the percentage of shortening of LV fibers from their end-diastolic length (EDL). EDL and ESL are end-diastolic length and end-systolic length, respectively. Normal LVSF = 35%-40%. The value of LVSF decreases in LV failure.